Which of the following drug used for bronchial asthma can lead to hoarseness of voice
1. Theophylline
2. Ciclesonide
3. Umiclidinium
4. Zafirlukast

Correct answer: 2. Ciclesonide

Explanation: Ciclesonide is an inhalational steroid used in bronchial asthma, which lead to hoarseness of voice & oropharyngeal candidiasis.